Gene mutations in Cystic fibrosis occurs at -
1. Short arm of chromosome 7
2. Long arm os chromosome 5
3. Long arm of chromosome 7
4. Short arm of chromosome .3

Correct answer: 3. Long arm of chromosome 7

Explanation: In cystic fibrosis, CFTR gene mutation occurs on the long arm of chromosome 7 Reference: Ghai essential pediatrics, 9 th edition, page 392